Arthus reaction is what type of hypersensitivity reaction -
1. Localized immune complex
2. Ag Ab reaction
3. Compliment mediated
4. Ab mediated

Correct answer: 1. Localized immune complex

Explanation: *type 3 reaction results from deposition of antigen antibody complexes on tissues which is followed by activation of the complement system and inflammatory reaction ,resulting in cell injury.it is also known as immune complex mediated (arthus) reaction.Harshmohan textbook of pathology 7th edition.